True regarding PPH
1. Type B lynch suture used
2. With new advances both atonic and traumatic PPH can be reduced
3. More common in multipara and Associated with polyhydramnios both
4. All or the above

Correct answer: 4. All or the above

Explanation: Ans. is a, b and c i.e. Type B lynch suture used; With new advances both atonic and traumatic PPH can be reduced; More common in multipara; and Associated with polyhydramnios PPH is more common in multipara due to laxed abdomen and associated factors like adherent placenta and anemia . Overdistension of uterus as in multiple pregnancy, hydraminos and large baby also lead to PPH . Incidence of atonic and traumatic PPH can be reduced with new advances or rather by intelligent anticipation, skilled supervision, prompt detection and effective institution of therapy. B lynch suture are used for management of PPH . Mifepristone is not used in the management of PPH .